Highest incidence of Maxillary extra canal is seen in
which tooth
1. Maxillary 1 PM
2. Maxillary 1st molar
3. Maxillary 2nd molar
4. Mandibular 1st PM

Correct answer: 2. Maxillary 1st molar